All of the following are involved in the reverse cholesterol transport, except:
1. ABCA1
2. ABCG1
3. LCAT
4. Lipoprotein lipase

Correct answer: 4. Lipoprotein lipase

Explanation: Reverse cholesterol transport: High-density lipoprotein (HDL) mediated return of cholesterol from extrahepatic tissues to the liver. Major proteins & Enzymes involved: ABCA1 & ABCG1 Lecithin: cholesterol acyltransferase Cholesteryl Ester Transfer Protein (CETP) SR-B1 Lipoprotein lipase is involved in the breakdown of triglycerides form chylomicron and VLDL.